A patient with sudden headache, vomiting & unconsciousness, diagnosis is -
1. Subarachnoid haemorrhage
2. Intracerebral haemorrhage
3. Subdural haemorrhage
4. Extradural haemorrhage

Correct answer: 1. Subarachnoid haemorrhage